The risk factor for increased incidence of relapse in stage I, carcinoma breast includes all except -
1. negative estrogne / progesterone receptor status
2. High 's' phase
3. Aneuploidy
4. Decreased Her-2/neu oncogene

Correct answer: 4. Decreased Her-2/neu oncogene